Which of the following is a function of primary dentition
1. Provide lip and cheek support
2. Helps in clear speech
3. Development of alveolar bone
4. All of the above

Correct answer: 4. All of the above